A patient on aspirin can present with which of the following factors?
1. Prolonged BT
2. Prolonged PT
3. Prolonged APTT
4. Prolonged CT

Correct answer: 1. Prolonged BT

Explanation: Aspirin ingestion irreversibly inhibits the synthesis of thromboxane A2 by platelets, which is necessary for platelet aggregation. Since platelet aggregation is impaired, bleeding time is increased. Bleeding time is indicative of function of platelets. Ref: Essentials of Medical Pharmacology, KD Tripathi, 5th Edition, Chapter 13, Page 170-174; Robbin's Pathology 7th /653; Essential of Pharmacology by KD Tripathi 5th/172.